Which of the following is a continous distribution
1. Normal
2. Poison's
3. Binomial
4. Bernoulli's

Correct answer: 1. Normal